Largest cross-sectional area
1. Artery
2. Veins
3. Capillaries
4. Venules

Correct answer: 3. Capillaries

Explanation: Capillaries have largest total c.s area which is 4500 cm2Ref: Ganong's Review of Medical Physiology Twenty-Third Edition Page No:537 Table no:32-9